Hemophilia B is deficiency of which factor:
1. IX
2. XII
3. VIII
4. X

Correct answer: 1. IX

Explanation: Ans. A: IXHemophilia B is also known as Christmas disease. Hemophilia A is deficiency of factor VIII (classical hemophilia).It has sex-linked inheritance.